Stem cells show positivity with
1. CD19
2. CD3
3. CD34
4. CD38

Correct answer: 3. CD34